Ground glass appearance of maxillary sinus is seen in?
1. Maxillary Sinusitis
2. Maxillary Carcinoma
3. Maxillary polyp
4. Maxillary fibrous dysplasia

Correct answer: 4. Maxillary fibrous dysplasia

Explanation: Ans. (d) Maxillary fibrous dysplasiaRef: Ballenger's Otorhinolaryngology: Head & Neck Surge: by James Byron Snow, Phillip A. Wackym, John Jacob Ballenge centennial ed p-506